Alkylating agents include : a) Doxorubicin b) Chlorambucil c) Vinblastine d) Busulfan e) Methotrexate
1. ace
2. bd
3. bc
4. ad

Correct answer: 2. bd